All are examples of point mutation, except ?
1. Silent mutation
2. Frame-shift mutation
3. Missense mutation
4. Nonsense mutation

Correct answer: 2. Frame-shift mutation

Explanation: Ans. is 'b' i.e., Frame-shift mutation